Vancomycin is used orally for treatment of
1. Hepatic encephalopathy
2. Pseudomembranous colitis
3. Staphylococcal food poisoning
4. None of the above

Correct answer: 2. Pseudomembranous colitis

Explanation: Ref: Sharma & Sharma 3rd ed. P 742-43; Katzung, 14th ed. pg. 809* Vancomycin (oral) is now considered as the drug of choice for pseudomembraneous colitis.* Metronidazole also used for pseudomembraneous colitis in mild cases.* Ampicillin has been associated with pseudomembranous colitis* Ceftriaxone is DOC for typhoid/enteric fever. Should be given IV.* METRONIDAZOLE is also the drug of choice in the treatment of amebiasis, trichomoniasis, Giardiasis and extraluminal amebiasis.* For serious pseudomembranous colitis not responding to metronidazole, DOC is Vancomycin